Anterior inclined plane should not be used for prolonged period because it causes
1. Growth discrepancy
2. Supra eruption of posterior teeth
3. deepbite
4. Cross bite

Correct answer: 2. Supra eruption of posterior teeth